All are glycerophospholipids, except
1. Lecithine
2. Plasmalogens
3. Cardiolipin
4. Sphingomyeline

Correct answer: 4. Sphingomyeline

Explanation: Ref: Textbook of Medical Biochemistry 8th Edition Dr (Brig) MN Chatterjea, Rana Shinde page no: 55-57